Carcinoma with no or minimal metastasis?
1. Squamous cell carcinoma
2. Basal cell carcinoma
3. Melanoma
4. Leydig's cell carcinoma

Correct answer: 2. Basal cell carcinoma

Explanation: Ans. is 'b' i.e., Basal cell carcinoma "Basal cell carcinoma can be locally destructive, but only exceptional reports of cases with metastatic behavior exist in literature." - Atlas of Diagnostic Oncology p.452"BCCs are differentiated and usually superficial with minimal metastatic potential." - Pathology and Genetics of Tumors of the Urinary System and Male Genital Organs p.287